All of the following are true in chest X ray PA view EXCEPT:
1. Right ventricle forms the right heart border
2. Left ventricle forms the left heart border
3. Cardiothoracic ratio in adults is normally 50% or less than that
4. Right atrium forms the right heart border

Correct answer: 1. Right ventricle forms the right heart border

Explanation: Ans. (a) Right ventricle forms the right heart borderRef: Essential radiology 2nd ed. 122* Right ventricle is not a border forming structure in PA view. However, it forms anterior border in lateral view of Chest X-Ray.